Which one of the following is implicated in the etiology of adhesions around the liver?
1. Chlamydial infection
2. Perforation of dermoid cyst
3. Gastric perforation
4. Liver metastases in ovarian cancer

Correct answer: 1. Chlamydial infection

Explanation: The image shows adhesions of Fitz-Hugh-Curtis syndrome which is a chlamydial infection leading to perihepatitis. Peri-hepatitis should be suspected in young, sexually active women who develop right-upper-quadrant pain, fever, or nausea. Frequently, peri-hepatitis is associated with extensive tubal scarring, adhesions, and inflammation observed at laparoscopy, and high titers of antibody to chlamydial heat-shock protein